The following statistic is used to measure the linear association between two characteristics in the same individuals -
1. Coefficient of variation
2. Coefficient of correlation
3. Chi square
4. Standard error

Correct answer: 2. Coefficient of correlation